Which nerve mostly damaged in post dislocation of hip -
1. Sciatic nerve
2. Femoral nerve
3. Obturator nerve
4. Superior gluteal nerve

Correct answer: 1. Sciatic nerve

Explanation: Ans. is 'a' i.e., Sciatic nerve Site of injuryNerve injuredFracture surgical neck humerusFracture shaft humerusSupracondylar fractureMedial epicondyle fracturePosterior dislocation of HIPFibutar neck fractureAxillary nerveRadial nerveMedian nerve (anterior interosseous branch)Ulnar nerveSciatic nerveCommon peroneal nerve